Fluid flow in or out of the dentinal tubules is proportional to the tubule diameter by
1. Third power of the diameter
2. Sixth power of the diameter
3. Square of diameter
4. Fourth power of diameter

Correct answer: 4. Fourth power of diameter

Explanation: fluid flow in dentin tubules follows Poiseuille’s law as all tubular structures:
Q=Pr4/8nl
Q= blood flow
P= pressure difference
N= velocity
R= radius of vessel
L= length of vessel